Half life of factor 8 is -
1. 4 hours
2. 8 hours
3. 34 hours
4. 48 hours

Correct answer: 2. 8 hours

Explanation: T1/2 of factor 8 is between 6-12 hrs.